Linear depression on a tooth surface
1. Pit
2. Groove
3. Fossa
4. Sulcus

Correct answer: 2. Groove